Which of the following scientist propagated therapeutic community concept-
1. JB Watson
2. Maxwell jones
3. Freud
4. Adler

Correct answer: 2. Maxwell jones

Explanation: Jones Maxwell propagated therapeutic community concept.